Prostate is supplied by all the following arteries except
1. Inferior vesical
2. Superior vesical
3. Middle rectal
4. Internal pudendal artery

Correct answer: 2. Superior vesical

Explanation: Superior vesical